A 45-year-old man comes to the physician because of a small mass in his oral cavity. Physical examination shows left facial nerve palsy and a firm, mobile, painless mass in the left parapharyngeal space Biopsy from the mass in the oral cavity shows chondromyxoid stroma and epithelium. 
Which of the following best explains this mass?
1. Once it is excised, no recurrence occurs
2. The mass represents a benign cystic tumor with germinal centers
3. The mass represents the most common malignant tumor in the salivary glands
4. The mass represents the most common salivary gland tumor

Correct answer: 4. The mass represents the most common salivary gland tumor